Limbic system is concerned with
1. Control of emotions, food habits
2. Sexual behavior
3. Autonomic function
4. All of the above

Correct answer: 4. All of the above

Explanation: Ans. (d) All of the above(Ref: Guyton, 13th ed/p.760)Functions of limbic system#Concerned with sexual behavior, the emotions of rage and fear, motivation, autonomic responses, learning and memory